Following thoracotomy, in a 20-year-old man a lesion is detected in the right lower lung lobe and is found to be nonfunctioning lung tissue that is served by vessels separate from those of the adjacent lung tissue. What is the most likely diagnosis?
1. Mesothelioma
2. Hiatal hernia
3. Glomus tumor
4. Bronchopulmonary sequestration

Correct answer: 4. Bronchopulmonary sequestration

Explanation: Bronchopulmonary sequestration can be differentiated from a bronchogenic cyst; in that it is composed of nonfunctioning lung tissue that is disconnected from the remaining lung; it has a separate blood supply. Glomus tumors are rare tumors that arise in the middle ear or jugular bulb. Patients complain of tinnitus and hearing loss.